Multibacillary leprosy follow up for-
1. 12-18 months
2. 2 years
3. 5 years
4. 10 years

Correct answer: 3. 5 years

Explanation: Ans. is 'c' i.e., 5 years o Follow-up in paucibacillary leprosy - 2 yearso Follow-up in multibacillary leprosy - 5 yearsMultidrug therapy for leprosy MultibacillaryPaucibacillaryo Rifampiem600 mg once a month, supervised600 mg once a month, supervisedo Dapsone100 mg daily, self administered100 mg daily, self administeredo Clofazimine300 mg once a month, supervised or 50 mg daily, seif administered o Duration12 months6 monthsSurveillance after treatmento Clinical surveillance of cases after completion of treatment is an important part of the current recommendations for multidrug therapy.o It is essential for the assurance of long term success of treatment and for the early detection of any relapses,o The recommendations are -i) PaucibaciUary leprosy - clinical examination at least once a year for a minim um period of 2 years after completion of treatmentii) Multibacillary leprosy - clinical examination at least once a year for a minimum period of 5 years after completion of treatment.